All the statement about lactoferrin are true, except -
1. It is present in secondary granules of neutrophil
2. It is present in exocrine secretions of body
3. It has great affinity for iron
4. It transports iron for erythropoiesis

Correct answer: 4. It transports iron for erythropoiesis

Explanation: Ans. is 'd' i.e., It transports iron for erythropoiesisTransport of iron for erythropoesis is done by transferrin and not by LactoferrinLactoferrin o It is an iron binding protein and has high affinity for irono Lactoferrin is found in ?Specific / secondary granules in neutrophils.Many exocrine secretions and exudates - milk, tears, mucus, saliva, bile etc.o It apparently exerts an antimicrobial activity by withholding iron from ingested bacteria and fungi.